Asymptomatic carriage of gonococcal infection in female is commonly seen in :
1. Endocervix
2. Vagina
3. Urethra
4. Fornix

Correct answer: 1. Endocervix

Explanation: Endocervix